In a patient with AIDS, chorioretinitis is typically caused by –
1. Cytomegalovirus
2. Toxoplasma gondii
3. Cryptococcus neoformans
4. Histoplasma capsulatum

Correct answer: 1. Cytomegalovirus

Explanation: The most common cause of chorioretinitis in AIDS is CMV.